Angle of mandible is supplied by -
1. Greater Auricular nerve
2. Lesser occipital nerve
3. Auriculotemporal nerve
4. None of the above

Correct answer: 1. Greater Auricular nerve

Explanation: Skin over angle of jaw (mandible) is supplied by anterior division of great auricular nerve.